Which of the vitamin deficiency lead to lacticacidosis?
1. Riboflavin
2. Thiamin
3. Niacin
4. Panthotheic acid

Correct answer: 2. Thiamin

Explanation: Thiamin "The role of thiamin diphosphate in pyruvate dehydrogenase means that in deficiency there is impaired conversion of pyruvate to acetyl CoA. In subjects on a relatively high carbohydrate diet, this results in increased plasma concentrations of lactate and pyruvate, which may cause life-threatening lactic acidosis."- Harper Biologically active form of Thiamin (vitamin B1) is Thiamin pyrophosphate or Thiamin diphosphate. Thiamin diphosphate is the coenzyme for 3 multi-enzyme complexes that catalyze oxidative decarboxylation reactions: a. Pyruvate dehydrogenase complex which converts pyruvic acid to acetyl CoA b. Alpha-ketoglutarate dehydrogenase complex in the citric acid cycle which converts alpha-ketoglutarate to succinyl CoA c. Branched-chain keto-acid dehydrogenase involved in the metabolism of leucine, isoleucine, and valine. Thiamin diphosphate is also the coenzyme for transketolase in the HMP pathway of glucose metabolism.